All of the following are true about anterior choroidal artery syndrome except
1. Hemiparesis
2. Hemisensory loss
3. Homonymous Hemianopia
4. Involvement of anterior limb of internal capsule

Correct answer: 4. Involvement of anterior limb of internal capsule

Explanation: *Lesion due to thrombosis in anterior choroidal artery cause lesion of posterior one third of the posterior limb (hemiparesis,hemisensory loss)and sublemtiform and retrolentiform parts of internal capsule lead to visual (hemianopia)and auditory (loss of hearing)defects. Ref Harrison20th edition pg 2756